Drugs that can be used in opioid de-addiction are?
1. Clonidine
2. Diazepam
3. Methadone
4. All of the above

Correct answer: 4. All of the above

Explanation: All of the drugs can be used. Methadone is effective orally, more potent ,longer acting and prevents withdrawal symptoms because it is slowly released from tissues. Clonidine a central alpha 2agonist can suppress autonomic.if withdrawal symptoms such as nausea, vomiting, anxiety and diarrhea. Night time sedation with a hypnotic like diazepam is helpful. Ref KD Tripathi 8th ed